Most common cause of primary hyperparathyroidism -
1. Hyperplasia
2. Solitary'- Adenoma
3. Carcinoma
4. Multiple adenomas

Correct answer: 2. Solitary'- Adenoma

Explanation: Ans. is 'b' i.e., Adenoma Hyperparathyroidismo Hyperparathyroidism is caused by elevated parathyroid hormone.o Primary hyperparathyroidism : an autonomous overproduction of parathyroid hormone (PTH), usually resulting from an adenoma or hyperplasia of parathyroid tissue.HyperparathyroidismParathyroidadenoma(85%-95%)Primaryhypoplasia(5%-10%)Parathyroidcarcinoma(>]%)Note: The most common cause of primary hyperparathyroidism is a solitary parathyroid adenoma arising sporadically.